Posterior belly of digastric is supplied by -
1. Facial nerve
2. Mandibular nerve
3. Spinal accessory nerve
4. Ansa cervicalis

Correct answer: 1. Facial nerve